Double Blind Study, true is ?
1. The research investigator is blind to the dependent & independent variable
2. The subject in the study do not know the examiner doing the study
3. The subject & the examiner do not know the details of the study
4. Only the examiner know the group to which subject belongs

Correct answer: 3. The subject & the examiner do not know the details of the study